Down syndrome most commonly occurs due to ____
1. Reciprocal translocation
2. Non-disjunction in maternal meiosis
3. Mosaicism
4. Non-disjunction in paternal meiosis

Correct answer: 2. Non-disjunction in maternal meiosis

Explanation: Down's syndrome occurs due to nondisjunction in maternal meiosis. Down's syndrome: Most common chromosomal disorder Incidence: 1/800 live births Mechanism: Trisomy 21 (meiotic maternal nondisjunction) (95%) Robertsonian translocation: 4% Mosaic pattern: 1% Non-disjunction points to the failure of the homologous chromosome to seperate during the meiotic division. Ref: Nelson textbook of pediatrics 21st edition Pgno: 658